Not a member of SAARC region
1. India
2. Africa
3. Sri Lanka
4. Afghanistan

Correct answer: 2. Africa

Explanation: Members of SAARC region

Afghanistan
Bangladesh
India 
Sri Lanka
Nepal 
Bhutan
Maldives Islands
Pakistan